Granulomatosis infantiseptica is caused by:
1. Pseudomonas
2. Chlamydia trachomatis
3. Group D streptococci
4. Listeria

Correct answer: 4. Listeria

Explanation: Granulomatosis infantiseptica is an intra-uterine infection of the newborn caused by listeria. The predominant feature of this condition is extensive focal necrosis affecting especially the liver and, less often, the lungs. The mortality rate is very high. Occasionally meningitis may be associated with it. The organisms can be isolated from the affected areas in the child and frequently from the genital tract of the mother, who may or may not manifest the disease. Ref: Harrisons principles of internal medicine, 18th edition, Page: 1196.